HMG-CoA reductase is inhibited by ?
1. Cholestyramine
2. Gemfibrozil
3. Lovastatin
4. Clofibrate

Correct answer: 3. Lovastatin

Explanation: Ans. is 'c' i.e., Lovastatin